After an initial pregnancy resulted in a spontaneous loss in the first trimester, your patient is concerned about the possibility of this recurring. An appropriate answer would be that the chance of recurrence
1. Depends on the genetic makeup of the prior abortus
2. Is no different than it was prior to the miscarriage
3. Is increased to approximately 50%
4. Is increased most likely to greater than 50%

Correct answer: 2. Is no different than it was prior to the miscarriage

Explanation: An initial spontaneous abortion, irrespective of the karyotype or sex of the child, does not change the risk of recurrence in a future pregnancy. The rate is commonly quoted as 15% of all known pregnancies.